In sarcoidosis the following is true -
1. Epitheloid cells showing caseation
2. Epitheloid cell- with no caseation
3. Histocytic cells-with caseation
4. Well differenciated histiocytic cells

Correct answer: 2. Epitheloid cell- with no caseation

Explanation: Ans. is 'b' i.e., Epitheloid cell-with no caseation